Most potent anti-inflammatory corticosteroid ?
1. Hydrocortisone
2. Prednisolone
3. Triamcinolone
4. Dexamethasone

Correct answer: 4. Dexamethasone

Explanation: Ans. is'd'i.e., Dexamethasone